Which of the following is not seen in the lung of a patient drowned in fresh water?
1. Soft and Jelly like consistency
2. Emphysematous
3. Crepitus is heard
4. Pale pink in colour

Correct answer: 1. Soft and Jelly like consistency

Explanation: Soft and jelly like consistency is seen in Sea water drowning. Rest all options are features of fresh water drowning. Ref: The Essentials of Forensic Medicine & Toxicology Dr.K.S.Narayan Reddy, 29th Edition, Page 330.